Bhore committee advised -
1. Integration of health services
2. 100% immunisation
3. Eradication of poverty
4. Minimum needs programme

Correct answer: 1. Integration of health services

Explanation: One of the important recommendations of the Bhore Committee was Integration of preventive and curative services at all administrative levels (refer pgno:873 park 23 rd edition)